No. of cusps in mandibular 1st molar:
1. 4
2. 3
3. 5
4. 6

Correct answer: 3. 5